The most common cause of Recurrent syncope includes
1. Carotid sinus hypersensitivity
2. Carotid artery stenosis
3. Embolus
4. Neurocardiogenic

Correct answer: 4. Neurocardiogenic

Explanation: (D) Neurocardiogenic # CAUSES OF SYNCOPE# Disorders of vascular tone or blood volume> Vasovagal (vasodepressor; neurocardiogenic)> Postural (orthostatic) hypotension1. Drug induced (especially antihypertensive or vasodilator drugs)2. Peripheral neuropathy (diabetic, alcoholic, nutritional, amyloid)3. Idiopathic postural hypotension4. Multisystem atrophies5. Physical deconditioning6. Sympathectomy7. Acute dysautonomia (Guillain-Barre' syndrome variant)8. Decreased blood volume (adrenal insufficiency, acute blood loss, etc.)> Carotid sinus hypersensitivity> Situational1. Cough2. Micturition3. Defecation4. Valsalva5. DeglutitionE. Glossopharyngeal neuralgia# Cardiovascular disorders> Cardiac arrhythmias1, Bradyarrhythmiasa. Sinus bradycardia, sinoatrial block, sinus arrest, sick-sinus syndromeAtrioventricular block> Tachyarrhythmiasa. Supraventricular tachycardia with structural cardiac diseaseb. Atrial fibrillation associated with the Wolff-Parkinson-White syndromec. Atrial flutter with 1:1 atrioventricular conductiond. Ventricular tachycardia> Other cardiopulmonary etiologies1. Pulmonary embolism2. Pulmonary hypertension3. Atrial myxoma4. Myocardial disease (massive myocardial infarction)5. Left ventricular myocardial restriction or constriction6. Pericardial constriction or tamponade7. Aortic outflow tract obstruction8. Aortic valvular stenosis9. Hypertrophic obstructive cardiomyopathy# Cerebrovascular diseaseA. Vertebrobasilar insufficiencyB. Basilar artery migraine# Other disorders that may resemble syncope> Metabolic1. Hypoxia2. Anemia3. Diminished carbon dioxide due to hyperventilation4. Hypoglycemia> Psychogenic1. Anxiety attacks2. Hysterical fainting> Seizures> Neurocardiogenic syncope is frequently recurrent & commonly precipitated by a hot or crowded environment, alcohol, extreme fatigue, severe pain, hunger, prolonged standing, and emotional or stressful situation.